Treatable causes of dementia are -a) Alzheimer's ds.b) Hypothyroidismc) Multi-infarct dementia d) SDH (subdural h'ge) e) Hydrocephalus
1. abc
2. ade
3. bde
4. bce

Correct answer: 3. bde

Explanation: Perhaps the use of word “treatable” is inappropriate here since all the types of dementia can be “treated”. The examiner most likely wants to ask the types which can be “reversed” or “cured”